Which of the following is not a cause of exudative retinal detachment
1. Toxemia of pregnancy
2. Malignant hypertension
3. Posterior scleritis
4. Diabetic retinopathy

Correct answer: 4. Diabetic retinopathy

Explanation: Diabetic retinopathy can cause tractional retinal detachment or combined rhegmatogenous-tractional retinal detachment and not exudative retinal detachment . Exudative Retinal Detachment Serous fluid accumulates between RPE & Neurosensory retina due to leakage from vasculature. There is no hole or tear in retina Causes :- * Toxemia of Pregnancy * Malignant Hypertension * Vogt Koyanagi Harada * Posterior scleritis * Vasculitis * Von Hippel Lindau disease * Malignant melanoma